Strength of chlorine to kill cyclops is -
1. 1 ppm
2. 2 ppm
3. 5 ppm
4. 10 ppm

Correct answer: 3. 5 ppm

Explanation: A ns. is 'c' i.e., 5 ppm Control of cyclops c.) Cyclops may be controled by : ? 1. Physical methods --) Useful for individual prophylaxis. i) Straining --3 Through a piece of fine cloth. ii) Boiling --3 Cyclops readily killed at 60degC. 2. Chemical methods i) Chlorine --) Strength of 5 ppm. destroys Cyclops and larvae ofguinea - worm. ii) Lime --) 4 grams per gallon of water. iii)Ahate --) At concentration of 1 mg/litre. 3. Biological method --) Small fish (e.g., barbel fish and gmbusia fish) have been found to feed on cyclops. "The most satisfactory and permanent method of controlling cyclops in drinking water is to provide piped water supply or tube wells".